Red current jelly stools seen in -
1. Intestinal obstruction
2. Amebiasis
3. Intussuception
4. Volvulus

Correct answer: 3. Intussuception

Explanation: Answer- C. IntussuceptionInitially the Passage of stools may be normal while later on blood mixed with mucus is evacuated - red current jelly stoolAn abdominal mass may be palpated - a sausage shaped mass, which may increase in size and firmness during the paroxysms of pain.There may be an associated feeling of emptiness in the right iliac fossa (sign of Dance).